In microinvasive cervical cancer, most common treatment is :
1. Conization
2. Laser
3. Simple hysterectomy
4. Radical hysterectomy

Correct answer: 3. Simple hysterectomy

Explanation: Ans. is c i.e. Simple Hysterectomy